All are oncogenic viruses except-
1. HBV
2. HPV
3. EBV
4. VZV

Correct answer: 4. VZV

Explanation: Ans. is 'd' i.e., VZV o Many viruses have been implicated in the causation of cancers :A) RNA viruses# All oncogenic RNA viruses belong to family retroviriadae (retroviruses).# Important examples are Avian leukosis virus, murine leukosis virus, murine mammary tumor virus, HIV (causing AIDS related malignancies) and Human-T-cell leukemia virus (causing Adult T-cell leukemia).B) DNA viruses# DNA viruses causing cancers are1) Papillomaviridae (HPV): Causes genital tumors, SCC and oropharyngeal carcinoma.2) Herpesviridae : These viruses are :i) HSV-2: Causes cervical carcinoma.ii) EBV: Causes nasopharyngeal carcinoma and Burkitt's lymphoma.iii) HHV-8: It causes Kaposis sarcoma.3) Hepadnaviridae (HBV): It causes hepatocellular carcinoma.4) Flaviviridae (HCV): It causes hepatocellular carcinoma.